WEBER'S test in otitis media will be
1. Not lateralized
2. Lateralised to poorer ear
3. Lateralised to better ear
4. Inconclusive

Correct answer: 2. Lateralised to poorer ear

Explanation: Otitis media causes conductive hearing lossWeber's testLateralized to poorer ear-conductive hearing lossLateralized to better ear-SNHLNo lateralization - NormalRef: PL Dhingra, Diseases of Ear, Nose & Throat, 7th edition, pg no. 24